Most common cause of seizure in newborn is:
1. Hypoxia induced ischemic encephalopathy
2. Hypocalcemia
3. Metabolic abnormality
4. Sepsis

Correct answer: 1. Hypoxia induced ischemic encephalopathy

Explanation: Ans. is 'a' i.e. Hypoxia induced ischemic encephalopathy DIFFERENTIAL DIAGNOSIS OF NEONATAL SEIZURES* Hypoxic ischemic encephalopathyMost common cause (60%) onset in first 24 hours* Intracranial hemorrhage15% of cases periventricular or intraventricular hemorrhage* Infection12% cases* HypoglycemiaSmall for gestational age infant of a diabetic mother* Hypocalcemia, HypomagnesemiaInfant of low birth weight IDM* HyponatremiaRare, seen with SIADH* Disorder of amino and organic acid metabolism, hyperammonemiaAssociated acidosis, altered level of consciousness* Pyridoxine deficiencySeizures, refractory to routine therapy* Developmental defects * Drug Withdrawl * No cause found10% cases* Benign familial neonatal seizures